Contraceptive options for a 28-year-old woman who is breastfeeding a six-week-old baby, wanting to avoid pregnancy for a longer interval are the following except:
1. LNG-IUD
2. IUD- 380A
3. Implanon
4. Combined oral contraceptives

Correct answer: 4. Combined oral contraceptives

Explanation: NOTE THAT THE QUESTION IS ASKING EXCEPT - Combined oral contraceptive pills are contraindicated up to six months postpartum, as they decrease breastmilk output. - Progesteron only pills / mini pills/ micro pills / intraceptive pills are contraceptive of choice in lactating women. - IUD can also be used . Absolute contraindications- Cancer(breast,cervix) Liver disease( adenoma) Uterine bleeding(excessive and undiagnosed) Thromboembolism Cardiovascular disease Hyperlipidemia Pregnancy nursing mother in first 6 months